Antibiotic prophylaxis is a must in:
1. Angina pectoris
2. Infective endocarditis
3. Pulmonary embolism
4. Before all minor surgeries

Correct answer: 2. Infective endocarditis